Which of the following is not of prognostic significance to choroidal melanoma?
1. Presence of retinal detachment
2. Size of the tumour
3. Cytology of the tumor cells
4. Presence of extraocular extension

Correct answer: 1. Presence of retinal detachment

Explanation: A i.e. Presence of retinal detachment Secondary non rhegmatogenous exudative retinal detachment is a common sign of choroidal melanoma and has no prognostic significanceQ. Choroidal Melanoma Melanoma of choroid is the most common primary intraocular tumor in adultsQ and accounts for 85% of uveal melanomas.